Trophozoite of Entamoeba histolytica ?
1. Has eccentric Karyosome
2. Shows erythrocyte in cytosol
3. Central nucleus
4. Non motile

Correct answer: 2. Shows erythrocyte in cytosol

Explanation: Ans. is 'b' i.e., Shows erythrocyte in cytosol